Earliest feature of Diabetic Retinopathy is?
1. Microaneurysms
2. Cotton Wool spots
3. Dot-&-Blot haemorrhages
4. Hard Exudates

Correct answer: 1. Microaneurysms

Explanation: ANSWER: (A) MicroaneurysmsREF: Yanoff 2nd edition page 878Microaneurysms are the first ophthalmoscopically detectable change In diabetic retinopathy